Posterior dorsal columns transmit
1. Fine touch, vibration
2. Pain, temperature
3. Crude touch
4. Unconscious kinesthetic impulses

Correct answer: 1. Fine touch, vibration

Explanation: (A) Fine touch, vibration